Ideal age for the use of Detain facemask in the treatment of skeletal maxillary deficiency cases is in the:
1. 6 - 8 year old age group
2. 8 to 10 year old age group
3. 10 to 12 year old age group
4. 12 to 14 year old age group

Correct answer: 1. 6 - 8 year old age group